What is the inheritience pattern of myotonic dystrophy?
1. Autosomal dominant
2. Autosomal recessive
3. X linked dominant
4. X linked recessive

Correct answer: 1. Autosomal dominant

Explanation: Myotonic dystrophy is associated with CTG trinucleotide repeat mutation. It is inherited as autosomal dominant disorder.